Verruga peruana is caused by:
1. B. Bacilliformis
2. B.Henselae
3. B.Quintana
4. B.Elizabethae

Correct answer: 1. B. Bacilliformis

Explanation: Ans: (A) B bacilliformis..[Ref Ananthanarayan 8th/411-12: Harrison 19th/1083, 1079, 18th/ 13191Bartonellosis, or Carrion's disease, is caused by B. bacilliformis. The disease is characterized by two distinct phases: (1) an acute febrile hematic phase, known as Oroya fever; and (2) an eruptive phase manifested by cutaneous lesions, known as verruga peruana" (Harrison 19th/1083,18th/1319)Verruga Peruana or Peruvian Wart: It is characterized by an eruptive phase, in which the patients develop a cutaneous rash produced by a proliferation of endothelial cells and is known as "Peruvian warts" or "verruga peruana".